Select the TRUE statement about Michealis Constant (Km)
1. Km is dependent on enzyme concentration.
2. Km value is inversely proportional to the affinity of enzyme for its substrate.
3. Km value denotes the product concentration at half maximal velocity.
4. Km value can be same for two different enzymes.

Correct answer: 2. Km value is inversely proportional to the affinity of enzyme for its substrate.

Explanation: Salient features of Km:- 1. Km value is substrate concentration (expressed in moles/L) at half-maximal velocity 2. It denotes that 50% of enzyme molecules are bound with substrate molecules at that particular substrate concentration 3. Km is independent of enzyme concentration;If enzyme concentration is doubled, the Vmax will be doubled. But the 1/2 Vmax(Km) will remain exactly the same. 4. Km is the signature of the enzyme. Km value is thus a constant for an enzyme. It is the characteristic feature of a particular enzyme for a specific substrate 5. The affinity of an enzyme towards its substrate is inversely related to the dissociation constant, Kd for the enzyme-substrate complex Therefore, the smaller the tendency for the dissociation of the complex, the greater is the affinity of the enzyme for the substrate 6. Km denotes the affinity of enzyme for substrate. The lesser the numerical value of Km, the affinity of the enzyme for the substrate is more.